Most common site of intracranial bleed on Hypertension is
1. Basal ganglia
2. Brain stem
3. Cerebellum
4. Subarachnoid space

Correct answer: 1. Basal ganglia

Explanation: (A) Basal ganglia